Division of long thoracic nerve results in
1. Inability to retract the scapula
2. Wasting of pectoralis major muscle
3. Weakness of adduction of humerus
4. Winging of scapula

Correct answer: 4. Winging of scapula

Explanation: Nerve to serratus anterior is also called long thoracic nerve(C5,C6,C7). A)Serratus anterior muscle along with the pectoralis minor pulls the scapula forwards around the chest wall to protract the upperlimb. B)The fibres inserted into the inferior angle of the scapula pull it forwards and rotate the scapula so that the glenoid cavity is turned upwards.In this action,the serratus anterior is helped by the trapezius which pulls the acromion upwards and backwards. when the muscle is paralyzed,the medial margin of the scapula gets raised specially when 'pushing movements' are attempted.This is called 'winging of scapula'. REF.B D Chaurasia's human anatomy,Vol.1,pg.47